Which of the following statements about fibromyalgia is true:
1. More common in males
2. Sleep EEG studies have shown disruption in REM sleep
3. Increased cortisol response to stress
4. SPECT studies have reduced blood flow to the thalamus

Correct answer: 4. SPECT studies have reduced blood flow to the thalamus

Explanation: Pathogenetic features in fibromyalgia:Disruption of normal stage IV NREM sleepLow levels of serotonin metabolites in CSFReduced levels of growth hormoneIncreased levels of neurotransmitter substance P in CSFDecreased cortisol response to stress and corticotrophin-releasing hormoneAutonomic dysfunctionReduced blood flow to the thalamus, caudate nucleus, and tectum on SPECTPsychiatric disturbances(ref:Harrison's 18/e p2849-2851, 17/e p2180)